What is the most important source of noradrenergic innervation to the cerebral cortex?
1. Basal nucleus of Meynert
2. Caudate nucleus
3. Locus coeruleus
4. Raphe nucleus

Correct answer: 3. Locus coeruleus

Explanation: The locus coeruleus is a dense collection of neuromelanin-containing cells in the rostral pons, near the lateral edge of the floor of the fourth ventricle. The fact that it appears blue-black in unstained brain tissue gave rise to its name, which means "blue spot" in Latin. These cells, which contain norepinephrine, provide the majority of noradrenergic innervation to the forebrain, including the cerebral cortex.